A 26 year old patient presents with suspected pneumococcal meningitis. CSF culture is sent for antibiotic sensitivity. Which empirical antibiotic should be given till culture sensitivity result come?
1. Penicillin G
2. Ceftriaxone + metronidazole
3. Doxycycline
4. Cefotaxime + vancomycin

Correct answer: 4. Cefotaxime + vancomycin

Explanation: Ans. (D) Cefotaxime + vancomycin(Ref: Harrison 18/e p3414)Antibiotics Used in Empirical Therapy of Bacterial Meningitis and Focal CNS InfectionsIndicationAntibioticInfants <3 monthsAmpicillin + Cefotaxime3 months to 55 yearsCefotaxime (Ceftriaxone) + VancomycinAdults >55 yearsAmpicillin + Cefotaxime (Ceftriaxone) + VancomycinHospital-acquired meningitis post-traumatic or post-neurosurgery meningitis, neutropenic patients, or patients with impaired cell-mediated immunityVancomycin + Cefepime